All of the following statements about cadaveric spasm are false except -
1. Occurs spontaneous after death
2. Occurs after 6 hours
3. Occurs after burns
4. Occurs after all death

Correct answer: 1. Occurs spontaneous after death

Explanation: Cadaveric spasm is contraction of muscles immediately after death. Dr. Narayana Reddys Synopsis of Forensic Medicine & Toxicology 27 th edition pg. 81.